All are true about basal cell carcinoma EXCEPT:
1. Most common site is upper eye lid
2. Locally invasive
3. Rarely metastasizes
4. Associated with exposure to sun

Correct answer: 1. Most common site is upper eye lid

Explanation: ANSWER: (A) Most common site is upper eye lidREF: Bailey & Love's 25th edition page 609, REF: Sabiston Textbook of Surgery, 18th ed, http:// emedicine.medscape.com/article/276624-overview'Although most common cancer of the upper lip is basal cell carcinoma, most common site of basal cell carcinoma is not upper lip but nose1'BASAL CELL CARCINOMA:Usually a slow-growing, locally invasive malignant tumour of pluripotential epithelial cells arising from basal epidermis and hair follicles, hence affecting the pilosebaceous skinEpidemiology: The strongest predisposing factor to BCC is UV Rays. The incidence of BCC therefore increases with proximity to the equator. It occurs in the middle-aged or elderly, with 90% of lesions found on the face above a line from the lobe of the ear to the corner of the mouth. Other predisposing factors include exposure to arsenical compounds, coal tar, aromatic hydrocarbons, IR and genetic skin cancer syndromes. White skinned people are almost exclusively affected.Body distribution:On the head (most frequently on the face ; most common location is the nose, specifically the nasal tip and alae) - 70%On the trunk - 25%On the penis, vulva, or perianal skin - 5%Spread:BCCs commonly infiltrate locally but rarely metastasize (0.028-0.55%).